All of the following conditions are associated with thymoma except?
1. Myasthenia gravis
2. Pemphigus foliaceus
3. Pancytopenia
4. Hypergamma globulinemia

Correct answer: 4. Hypergamma globulinemia

Explanation: Thymoma is associated with B cell deficiency and hypogamma globulinemia. Other conditions associated with thymoma are myasthenia gravis, autoimmune hemolytic or aplastic anemia, pancytopenia, thrombotic thrombocytopenic purpura, pemphigus foliaceus, sjogren's syndrome, polymyositis.